Virus causing cervical cancer in the ectocervix -
1. HPV16
2. HPV17
3. HPV11
4. HPV19

Correct answer: 1. HPV16

Explanation: Ans. is 'a' i.e., HPV 16 Carcinoma cervixo The m/c etiological factor associated with cancer cervix is Human Papillomavirus (HPV).o HPV is epitheliotropic.o High-risk HPVInclude 16, 18, 31, 33, 35, 39. 45, 52, 56, 58, 59, 68.o Low-risk HPV associated with genital warts are subtype 6 and 11.o Almost 80% women are infected by HPV at some point in their lives.o HPV DNA detection is used along with pap smear as a screening procedure:o (PCR) polymerase chain reaction or Southern blot or hybrid capture technique is used for HPV DN A detection.Factors predisposing to CIN/Ca Cervixo Human papilloma virus infection (most important)o Factors increasing the risk of sexually transmitted infections :Coitus before 18 years of ageMultiple sex partnersMultiparityPoor personal hygienePoor socioeconomic statuso Smokingo Immunosuppressed individualso Women on OCP or progesterone therapy for a long time, are predisposed to adenocarcinoma of the endocervix.o In utero exposure to diethylstilbestrol (DES).